Inability to pronate forearm is due to injury to which nerve ?
1. Ulnar
2. Radial
3. Median nerve
4. Musculocutaneous

Correct answer: 3. Median nerve

Explanation: Ans. is 'c' i.e., Median nerve Pronation of the forearm is by two muscles pronator teres and pronator quadratus. These two muscles are supplied by median nerve. Thus injury to median nerve produces inability to pronate forearm. The median nerve is also called labourer's nerve. The median nerve arises by two roots, one from the lateral cord (C5,6,7) and the other from the medial cord (C8, T1). The various muscles supplied by median nerve are : ? 1) In the forearm All the flexor muscles of the forearm, except the flexor carpi ulnaris and the medial half of flexor digitorum profundus to the ulnar two fingers. These muscles are : - Pronater teres Flexor digitorum superficialis Flexor pollicis longus Flexor carpi radialis Flexor digitorum profundus (lateral half) Pronator quadratus Pulmaris longus 2) In hand Median nerve supplies : - Thenar muscles (except adductor pollicis) - Flexor pollicis brevis, opponens pollicis and abductor pollicis brevis. Adductor pollicis is supplied by ulnar nerve. First two lumbricals